The most important cause of the coagulation failure in obstetrics is:
1. Intrauterine fetal death
2. Accidental hemorrhage
3. Placenta previa
4. Rupture of the uterus

Correct answer: 2. Accidental hemorrhage

Explanation: Ans. B i.e. Accidental hemorrhage Abruptio placentae Painful, due to pre-eclampsia or trauma, continuous bleeding Fetal heart sounds usually absent Placenta is present in upper segment, No Malpresentation Bleeding may be revealed, concealed or mixed Uterus is tense, tender, and rigid.